Lary ngoscopes are sterilized by
1. Glutaraldehyde
2. Formalin
3. Betadine
4. Boiling

Correct answer: 1. Glutaraldehyde

Explanation: o Laryngoscope should be cleaned before and aer use with spirit.
o Disinfecon can be done once a day by removing the bulb and immersing the blade in 2% cidex (glutaraldehyde) for 10 minutes.
o They should be sterilized once a week by immersing in cidex for 10 hours or by autoclavin